Rabies virus is inactivated by -
1. Phenol
2. UV radiation
3. BPL
4. ALL

Correct answer: 4. ALL

Explanation: Rabies virys is inactivated by phenole(semple va ccine)&BPL REF:
aANATHA NARAYANAN MICROBIOLOGY NINTH EDITION PAGE.535